All of the following can cause megakaryocytic thrombocytopenia, except:
1. Idiopathic thrombocytopenia purpura
2. Systemic lupus erythematosus
3. Aplastic anemia
4. Disseminated intravascular coagulation (DIC)

Correct answer: 3. Aplastic anemia

Explanation: Disseminated Intravascular Coagulation (DIC) DIC is an acute, subacute, or chronic thrombohemorrhagic disorder characterized by the excessive activation of coagulation and the formation of thrombi in themicrovasculature of the body. It occurs as a secondary complication of many different disorders.Patients with DIC can present with prolonged coagulation times, thrombocytopenia, high levels of fibrin degradation products (FDPs), elevated D-dimer levels. Microangiopathic pathology (schistocytes) on peripheral smears are suggestive findings for DIC. Aplastic anemia - Reduction in the number of Hematopoietic stem cells bone marrow is hypoactive amegakaryocytic